Which does not pass from the superior cerebellar peduncle?
1. Dentatorubral tract
2. Anterior spinocerebellar tract
3. Posterior spinocerebellar tract
4. Tectocerebellar tract

Correct answer: 3. Posterior spinocerebellar tract

Explanation: Posterior spinocerebellar tract does not pass through superior cerebellar peduncle Ref: guyton and hall textbook of medical physiology 12 edition page number:780,781,782